The main reservoir for Entamoeba histolytica is -
1. Man
2. Dirty water
3. Soil
4. Ponds

Correct answer: 1. Man

Explanation: The main reservoir for Entamoeba histolytica is man. Other options can be the modes of transmission ie. faeco oral through contaminated water. Option 1, 2, 3, 4 E. histolytica: Habitat: Large intestine Morphology-3 stages: Trophozoites, Pre-cyst and cyst. Host: Humans are the only host and reservoir. Infective form: Mature quadrinucleate cyst. Mode of transmission: Faeco-oral route and rarely sexual transmission (20-30% in homosexuals).